An isograft is one that is transferred
1. In the same individual
2. Between monozygotic twins
3. From I belonging to blood group A and other to blood group B
4. From animal to human when the organ involved is identical

Correct answer: 2. Between monozygotic twins

Explanation: Graft: It is transfer of tissue from one area to other without its blood supply or nerve supply. Autograft: It is tissue transferred from one location to another on the same patient. Isograft: It is tissue transfer between two genetically identical individuals, i.e. between two identical twins. Allograft: It is tissue transfer between two genetically different members, e.g. kidney transplantation (Human to human) (Homograft). Xenograft: It is tissue transfer from a donor of one species to a recipient of another species (Heterograft).Reference : page 321 SRB's manual of surgery 5th edition